Which of the following hormones are raised in Praderwilli syndrome
1. Growth Hormone (GH)
2. Leutinizing Hormone (LH)
3. Follicile Stimulating Hormone (FSH)
4. Ghrelin

Correct answer: 4. Ghrelin

Explanation: Prader-Willi syndrome (PWS) is a disorder caused by a deletion or disruption of genes in the proximal arm of chromosome 15 or by maternal disomy in the proximal arm of chromosome 15. Commonly associated characteristics of this disorder include diminished fetal activity, , stature, hypogonadotropic hypogonadism, strabismus, and small hands and feet. Reference: GHAI Essential pediatrics, 8th edition